Not a bone of quadrilateral cartilage:
1. Ethmoid
2. Vomer
3. Sphenoid
4. Maxilla

Correct answer: 3. Sphenoid

Explanation: Sphenoid